Post - Vagotomy diarrhoea can be effectively managed by -
1. Steroids
2. Thyroxin
3. Somatostatin analogue
4. Parathormone

Correct answer: 3. Somatostatin analogue